Blood start ined nipple discharge is seen in:
1. Breast abscess
2. Fibroadenoma
3. Ductal papilloma
4. Fat necrosis

Correct answer: 3. Ductal papilloma

Explanation: Ans, C (Duct papilloma) Bloody discharge from breast | | |Single ductIntraduct papillomaIntraduct carcinomaDuct ectasia Multiple ductCarcinomaEctasiaFibrocystic disease